Guanido acetic acid is formed in.... from....
1. Kidney; Arginine + glycine
2. Liver; Methionine + glycine
3. Liver; Cysteine + arginine
4. Muscle; Citrulline + aspartate

Correct answer: 1. Kidney; Arginine + glycine

Explanation: Ans. A. Kidney; Arginine + GlycineSteps of synthesis of CreatinineStep I Glycine Arginine Amido TransferaseFirst step in the Kidney.Guanidino group of Arginine is transferred to Glycine to form Guanidino Acetic Acid.Step II Guanidino Acetate Methyl TransferaseSecond step in the LiverCreatine is formedS Adenosyl Methionine is the methyl donorStep III Creatine KinaseThird step in the MuscleCreatine Phosphate is formedStep IVOccur spontaneouslyCreatinine is formed.